What is the use of Kinemyography?
1. Monitoring of neuromuscular function
2. Monitoring of muscle spindle activity
3. Monitoring of exercise capacity
4. Not Recalled

Correct answer: 1. Monitoring of neuromuscular function

Explanation: Acceleromyography (AMG) and kinemyography (KMG) provide increasingly objective measures of neuromuscular function. Kinemyography employs a piezoelectric transducer and consists of a moulded plastic device which mirrors the contour of the outstretched thumb and index finger. Acceleromyography measures acceleration of a given end-organ, e.g., the thumb when moved by the AP. It is related to the actual force by the formula: force = mass x acceleration Also Know: At present, the most versatile technique to monitor neuromuscular function is AMG, since it can be applied at different muscles. Ref: